Patchy hair loss with hyperhidrosis of skin points to the diagnosis of -
1. Alopecia aereata
2. Trichotillomania
3. Hyperthyroidism
4. Adenoma sebacium

Correct answer: 3. Hyperthyroidism

Explanation: hyperthyroidism Cutaneous manifestation:Fine velvety smooth skinWarm and moist skin due to increased sweating Localised/generalised hyperpigmentationPruritusFacial flush Palmar erythema, urticaria Pretibial myxoedema Thyroid acropachy. Hair changes:-fine thin hair, non scarring alopecia, alopecia areata. Ref Harrison20th edition pg 1203